Commonest benigm tumour of the eosophagus-
1. Leiomyoma
2. Papilloma
3. Adenoma
4. Hemangioma

Correct answer: 1. Leiomyoma